Which of the following is used in rape victims to determine of rupture of hymen and whether rupture is recent or old?
1. Gaba rod
2. Gram rod
3. Cylinder rod
4. Glaister Keen rod

Correct answer: 4. Glaister Keen rod

Explanation: Solution: Glaister Keen rod is used to determine degree of rupture of hymen and whether rupture is recent or old. Signs of recent rupture are ragged tears in the hymen with edema and hemorrhage but absence of epithelial healing. The below image shows Glaister Keen Rod: